In motor migration complex what is rate of migration?
1. 5 cm/min at 60 minutes
2. 5 cm/min at 90 minutes
3. 10 cm/min at 60 minutes
4. 10 cm/min at 90 minutes

Correct answer: 2. 5 cm/min at 90 minutes

Explanation: During fasting between periods of digestion, the pattern of electrical and motor activity in gastrointestinal smooth muscle becomes modified so that cycles of motor activity migrate from the stomach to the distal ileum. Each cycle, or migrating motor complex (MMC), starts with a quiescent period (phase I), continues with a period of irregular electrical and mechanical activity (phase II), and ends with a burst of regular activity (phase III). The MMCs are initiated by motilin, migrate aborally at a rate of about 5 cm/min, and occur at intervals of approximately 90 min. Gastric secretion, bile flow, and pancreatic secretion increase during each MMC. They likely serve to clear the stomach and small intestine of luminal contents in preparation for the next meal.Ref: Ganong's review of medical physiology 23rd edition Page no: 470